Most common cause of dissecting hematoma -
1. Hypertension
2. DM
3. Trauma
4. Mafan syndrome

Correct answer: 1. Hypertension

Explanation: Ans. is 'a' i.e., Hypertension o More than 90% of dissections occur in men between the age of 40 and 60 with antecedent hypertension.Other causes of dissection.o Marfan syndrome causing cystic medial necrosis (second most common),o Ehlers - Danlos syndrome.o Inflammatory aortitis - Takayasu's disease. Giant cell arteritis,o Coarctation of aorta.o Normal woman during third trimester of pregnancy.3 Congenital bicuspid aortic valve.Also knowo In Aortic dissection blood enters alon the laminar planes of media.